Polyps in peutz jeghers syndrome -
1. Villous
2. Hamartomatous
3. Hyperplastic
4. None

Correct answer: 2. Hamartomatous

Explanation: Ans. is 'b' i.e., Hamartomatous "The syndrome stigmata are obvious with multiple pigmented spots on the lips and buccal mucosa, and multiple benign hamartomatous polyps throughout the gastrointestinal tract, most frequently affecting the jejunum " ___Oxford textbook of medicineo Peutz-Jeghers syndrome is an autosomal dominant syndrome characterized by the combination of hamartomatous polyps of the intestinal tract and hyperpigmentation of the buccal mucosa, lips, and digits.o The syndrome is associated with an increased (2%-10%) risk for cancer of the intestinal tract, with cancers reported throughout the intestinal tract, from the stomach to the rectum. There is also an increased risk for extraintestinal malignancies, including cancer of the breast, ovary, cervix, fallopian tubes, thyroid, lung, gallbladder, bile ducts, pancreas, and testicles.